Which of the following is benign in nature
1. Lymphoma
2. Lymphangioma
3. Melanoma
4. leukemia

Correct answer: 2. Lymphangioma